A 9-year-old girl presents with menarche. History reveals thelarche at the age of 7 years and adrenarche at the age of 8 years- the M/C cause of this condition in girls is:
1. Idiopathic
2. Gonadal tumor
3. Mc cure albright syndrome
4. Hypothyroidism

Correct answer: 1. Idiopathic

Explanation: Precocious puberty It is the appearance of appropriate secondary sexual charecters before the age of 8 years and occurance of menstruation before the age of 10 years The most common cause is constitutional(idiopathic -75% cases) due to premature activation of HPO Axis. SHAW'S TEXTBOOK OF GYNAECOOGY,Pg no:56,15th edition